Rotator cuff is/are formed by all except:
1. Supraspinats
2. Infraspinatus
3. Teres minor
4. Teres major

Correct answer: 4. Teres major

Explanation: Ans: D (Teres major) Fig. :The musculotendinous cuff of the shoulderMusculotendinous Cuff (Rotator Cuff) of the Shoulder BDC 4th /Vol I 78-79It is a fibrous sheath formed by the flattened tendons which blend with the capsule of the shoulder joint and strengthen itThe muscles which form the cuff arise from the scapula and are inserted into the lesser and greater tubercles of the humerus.They are the subscapularis, the supraspinatus, the infraspinatus and the teres minor. Their tendons, while crossing the shoulder joint become flattened and blend with each other on one hand, and with the capsule of the joint on the other hand, before reaching their points of insertion,The cuff gives strength to the capsule of the shoulder joint all around except inferiorlyQ, This explains why dislocations of the humerus occur most commonly in downward direction.